Calcification is seen in all of the following except:
1. Persistent hyperplastic primary vitreous
2. Retinoblastoma
3. Choroidal osteoma
4. Optic nerve head drusen

Correct answer: 1. Persistent hyperplastic primary vitreous

Explanation: All of the following have characteristic calcification as a sign of identification except persistent hyperplastic primary vitreous. Ocular Structures that can have Calcification Concretions In conjunctiva Optic nerve head drusen Retinoblastoma Choroidal Osteoma Pthisical eyeball Band shaped keratopathy